Delusions of persecution, grandiosity and infidelity are features of
1. Bipolar disorders
2. Obsessive compulsive disorder
3. Paranoid schizophrenia
4. Borderline personality disorder

Correct answer: 3. Paranoid schizophrenia

Explanation: i.e. (Paranoid schizophrenia): (2721-HRT 17th)PARANOID SCHIZOPHRENIACharacterized by1. Delusion of persecution2. Delusion of reference3. Delusion of grandeur (or grandiosity)4. Delusion of infidelity (or Jealousy)5. Schneider's first rank symptoms6. The delusions are usually well-systematized7. The personality deterioration is much less than in other types of schizophrenias8. Patients may be apprehensive (due to delusions & hallucination)SCHIZOPHRENIACATATONICClinical presentation is dominated by profound changes in motor activity, negativism and echolalia or echopraxiaPARANOIDProminent preoccupation with a specific delusional systemDISORGANIZEDDisorganized speech and behavior are accompanied by a superficial or silly affectRESIDUALNegative symptomatology exists in the absence of delusions, hallucination or motor disorders